An adult presents to a physician because of repeated episodes of fainting. EKG fails to disclose an arrhythmia. Echocardiogram shows a mass in the left atrium that is acting like a "ball valve" to produce intermittent obstruction of flow. Which of the following would most likely be seen on microscopic examination of the resected mass?
1. Benign myxoid tumor
2. Benign tumor with gland formation
3. Benign tumor with striated muscle differentiation
4. Malignant tumor with gland formation

Correct answer: 1. Benign myxoid tumor

Explanation: The most common primary cardiac tumor of adults is the benign atrial myxoma. 90% of these lesions involve the left atrium, where they can produce intermittent obstruction when they flop onto the mitral valve. Resection is curative. Neither benign (adenomas) nor malignant (adenocarcinomas) primary glandular tumors usually involve the heart. If adenocarcinoma is seen, suspect metastatic disease. The rhabdomyoma is the benign tumor with striated muscle differentiation (choice C) that can involve the heart. This tumor is the most common cardiac tumor of children. Ref: Wyatt C., Butterworth IV J.F., Moos P.J., Mackey D.C., Brown T.G. (2008). Chapter 10. Cardiac Pathology. In C. Wyatt, J.F. Butterworth IV, P.J. Moos, D.C. Mackey, T.G. Brown (Eds), Pathology: The Big Picture.